Which of the following statements regarding pyrazinamide is FALSE?
1. One should discontinue treatment if hyperuricemia occurs
2. There is minimal cross resistance with INH
3. Polyarthralgia is a common side effect
4. It can cause hepatotoxicity

Correct answer: 1. One should discontinue treatment if hyperuricemia occurs

Explanation: (Ref: Katzung 10/e p775) Pyrazinamide is a first line antitubercular drug that can cause hyperuricemia and hepatotoxicity. Non gouty rhthralgia is vey common adverse effect of this drug. Hyperuricemia per se is not the indication for discontinuation of pyrazinamide.